NSAIDS with least anti inflammatory' action -
1. Indomethacin
2. Paracetamol
3. Ketorolac
4. Ibuprofen

Correct answer: 2. Paracetamol

Explanation: Ans. is 'b' i.e., ParacetamolParacetamolo It does not possess anti - inflammatory activity because it is ineffective in the presence of peroxides generated at the site of inflammation.o It produces very little GI toxicity and can be administered in patients intolerant to other NSAIDs.